Which of the following is a type of cutaneous tuberculosis
1. Pemphigus vulgaris
2. Scrofuloderma
3. Lupus pernio
4. Lupus panniculitis

Correct answer: 2. Scrofuloderma

Explanation: Scrofuloderma is a type of cutaneous tuberculosis involving the formation of sinuses and scarring. Skin lesions result from direct extension of underlying TB infection of lymph nodes, bone or joints. TB verrucosa cutis occurs after direct inoculation of TB into the skin of someone who has been previously infected with mycobacteria. Lupus vulgaris is persistent and progressive form of cutaneous TB. Apple-jelly nodules are seen on diascopy. Ref Harrison 20th edition pg 1345